"Seal finger" and "whale finger" are associated with infection of
1. Treponema
2. Erysipelothrix
3. Listeria
4. Corynebacterium

Correct answer: 2. Erysipelothrix

Explanation: (B) Erysipelothrix # Erysipelothrix rhusiopathiae> E. rhusiopathiae is a natural parasite of many animals.> It causes swine erysipelas & human erysipeloid.> Human infection usually occurs on the hand or fingers of persons handling animals fish or animal products> Lesions are painful, edematous and erythematous, usually involving the local lymphnodes and joints.> Occasional cases of endocarditis have been reported.> The bacillus is sensitive to penicillin, erythromycin and broad spectrum antibiotics.